Little's area constitutes
1. Anastamosis between branch of maxillary artery and branch of facial artery
2. Anastamosis between two branches of facial artery
3. Anastamosis between two branches of maxillary artery
4. None of above

Correct answer: 1. Anastamosis between branch of maxillary artery and branch of facial artery